Graft from homozygotic twin is known as ?
1. Autograft
2. Isograft
3. Allograft
4. Xenograft

Correct answer: 2. Isograft

Explanation: Ans. is 'b' i.e., Isograft Graft from homozygotic (identical) twin is called as isograft. Graft A tissue graft is a medical procedure in which tissue from a donor is used to replace missing or damaged tissue on a patient ( recipient).